Maintenance fluid for a child weighing 10 kg –
1. 1500 ml/day
2. 1000ml/day
3. 750ml/day
4. 500ml/day

Correct answer: 2. 1000ml/day

Explanation: Up to 10 kg, the requirement is 100 ml/kg/day.
So, Maintenance fluid for a 10 kg child is 1000 ml/kg/day.